Second most common neoplasm seen in children is –
1. Lymphoma
2. Brain tumour
3. Wilm's tumour
4. Neuroblastoma

Correct answer: 2. Brain tumour